Conversion of Pyruvate to Acetyl CoA does not require
1. Thiamine
2. TPP
3. Pyridoxine
4. FAD

Correct answer: 3. Pyridoxine

Explanation: Pyruvate is converted to acetyl CoA by oxidative decarboxylation catalysed by a multienzyme complex, known as pyruvate dehydrogenase complex (PDH) The enzyme PDH requires five cofactors (coenzymes), namely--TPP(thiamine pyrophosphate), lipoamide, FAD, coenzyme A and NAD+ ref Satyanarayana biochemistry 4th ed page 252